Toxic shock syndrome is due to -
1. Septic abortion
2. Forgotten tampons
3. IUCD
4. Pelvic examination

Correct answer: 2. Forgotten tampons

Explanation: Ans. is 'b' i.e., Forgotten tampons